What is not true regarding venous ulcer?
1. It is managed by stripping superficial saphenous venous system
2. It may be associated with Klippel Trenaunay syndrome
3. It is found in elderly males
4. Biopsy is required for long standing ulcer

Correct answer: 3. It is found in elderly males

Explanation: Ans: c. (It is found in elderly males)Ref: Cuschieri, 4th ed. pg. 903, 904Characteristic features of venous ulcer: It is seen at the gaiter area- on the medial side. Edges will be sloping Base of the venous ulcer is fixed to the deeper tissues Surrounding tissues show signs of chronic venous hypertension - eczema, pigmentation, lipodermatosclerosis Presence of obvious varicose veins.Option c), unlike arterial ulceration in which patients areusually > 60 years, patients with venous ulcers usuallypresents at 40-60 years of age.Management of venous ulcer bleed - Bisgard regimeElevation of limbElastic bandageExerciseEducationlf the ulcer is non healing, biopsy of the ulcer has to be done.There is no role for topical antibiotics in a case of venous ulcers.Option a) Role of surgerySurgery for the superficial venous system incompetence is done. It can be performed before the ulcer has healed. This leads to rapid ulcer healing. In patients with deep venous insufficiency, surgery may not be effective.Option b) Klippel Trenaunay syndromeit consists of varicose veins, haemangiomata, excess growth of bone and soft tissues and other congenital abnormalities.Referral may be due to pain, bleeding, ulceration, phlebitisor thromboembolism.